A 2 year old female child developed fever, cough and respiratory distress. On chest x-ray consolidation is seen in right lower lobe. She improved with antibiotics but on follow up at 8 weeks was again found to have increasing consolidation in right lower lobe and fever. Your next investigation would be:
1. Bronchoscopy
2. Bacterial culture of the nasopharynx
3. CT scan of the chest
4. Allergen sensitivity test

Correct answer: 1. Bronchoscopy

Explanation: Bronchoscopy with bronchioalveolar lavage (BAL) will help is isolation of organism causing consolidation and thus will help in management. In this question type of lesion already defined as consolidation. If type of lesion not well defined on CxR the CECT may be the 1st investigation f/b bronchoscopy with bronchioalveloar lavage (BAL).